Coefficient of thermal expansion of tooth enamel is closest to:
1. Silicate cement
2. Composite
3. GIC
4. Polycarboxylate

Correct answer: 3. GIC